The nasopharynx is lined by which epithelium?
1. Stratified squamous nonkeratinized
2. Stratified squamous keratinized
3. Ciliated columnar
4. Cuboidal

Correct answer: 3. Ciliated columnar

Explanation: The pharyngeal wall consists of 4 layers from within outwards 1. Mucous membrane: Epithelium is ciliated columnar in the nasopharynx and stratified squamous elsewhere 2. Pharyngeal aponeurosis (pharyngo basilar fascia ) 3. Muscular coat: 2 layers External layer - superior, middle, and inferior constrictors Internal layer - stylopharyngeus, salpingopharyngeus and palatopharyngeus muscle 4. Buccopharyngeal fascia (Ref: Diseases of ENT, PL Dhingra, 7th Edition, pg no.271)